Most common type of atrial septal defect is ___________
1. Ostium primum
2. Ostium secondum
3. Endocardial cushion defect
4. Endocardial hypertrophy

Correct answer: 2. Ostium secondum

Explanation: Most common type of ASD is ostium secundum. Ref : Ghai essential of pediatrics, eighth edition, p.no:413